Fibromuscular stroma is present in
1. Testis
2. Liver
3. Prostate
4. Urinary bladder

Correct answer: 3. Prostate

Explanation: Fibromuscular stroma occupies the anterior surface of the prostate gland anterior to the urethra and is composed of dense irregular connective tissue with a large number of smooth muscle fibersReference: Chaurasia; 6th edition